A dead body is found to have marks like branching of a tree on front of chest. The most likely cause of death could be due to-
1. Fire-arm
2. Lightening injury
3. Injuries due to bomb blast
4. Road traffic accident

Correct answer: 2. Lightening injury

Explanation: Lightening injury causes arborescent or filigree burns or litchenberg's flower.
Which are superficial, thin irregular and tortuous marking on the skin resembling branches of a free.